First referral unit (FRU) is
1. Sub-centre
2. PHC
3. CHC
4. Medical college and hospital

Correct answer: 3. CHC

Explanation: Level of health care Primary Secondary Tertiary Status in INDIA First level of contact between population and health care system First referral level of health care Second referral level of health care Health services are delivered through Sub - centre, Primary Health Centre Community Health Centre , District Hospital Medical Colleges and Hospitals